mood stabilizer used in the tretament of rapid cycling
1. vaproate
2. lithium
3. carbamezepine
4. lamotrigine

Correct answer: 1. vaproate

Explanation: Lamotrigine is a mood stabilizer which works best in BIPOLAR DEPRESSION Lithium is a mood stabilizer which works best in BIPOLAR MANIA valproate is a mood stabilizer which works best in RAPID CYCLING ref. kaplon and sadock, synopsis of psychiatry, 11 thedition, pg no.935